Odland bodies are seen in which layer of epidermis -
1. Basal cell layer
2. Stratum lucidum
3. Stratum granulosum
4. Stratum corneum

Correct answer: 3. Stratum granulosum

Explanation: Ans- C Stratum granulosum and upper part of Stratum spinosum